Primigravida with full term, complains of faintness on lying down and she feels well when turns to side or sitting position. This is due to
1. Increased intraabdominal pressure
2. IVC compression
3. Increased intracranial pressure
4. After heavy lunch

Correct answer: 2. IVC compression

Explanation: Supine hypotension syndrome : During late pregnancy,the gravid uterus produces a compression effect on the IVC when patient is in supine position . In 90% cases, this results in opening up of the collateral circulation by means of paravertebral and azygos veins. In 10 % cases, when collaterals fails to open up, the venous rReturn Ofthe heart may be seriously curtailed. This results in production of hypotension, tachycardia and syncope -Supine Hypotension Syndrome. The normal blood pressure is quickly restored by turning the patient to lateral position. Ref:Datta Obs 9e pg 49.